The earliest indication of concealed acute bleeding in pregnancy is :
1. Tachycardia
2. Oliguria
3. Postural hypotension
4. Low body temperature

Correct answer: 1. Tachycardia

Explanation: Tachycardia